All of the following are true about pigmentary glaucoma except:
1. It occurs more often in young myopic men
2. Iris transillumination defects are noted
3. It is associated with Krukenberg's spindle
4. The intensity of pigment deposit in the angle is related to iris colour

Correct answer: 4. The intensity of pigment deposit in the angle is related to iris colour

Explanation: Ans. The intensity of pigment deposit in the angle is related to iris colour